Thiamine deficiency results in decrease energy production, because TPP:
1. Interferes with Alcohol metabolism
2. Interferes with Transketolase activity
3. Is cofactor for pyruvate dehydrogenase and alpha ketoglutarate dehydrogenase
4. Interferes with Energy production from amino acids

Correct answer: 3. Is cofactor for pyruvate dehydrogenase and alpha ketoglutarate dehydrogenase

Explanation: Link reaction & TCA cycle requires 5 coenzymes: Lipoic acid and four B-complex Vitamins (B1, B2, B3, B5). Due to this reason, Thiamine (vitamin B1) deficiency results in decrease energy production (also CNS problems because Brain cells depend on this aerobic reaction) as TCA & link reaction both are responsible for energy production in cells.